Plateau phase of ventricular muscle is d/t opening of
1. Na+ channel
2. K+ channel
3. Ca - Na channel
4. Closure of K+ channel

Correct answer: 3. Ca - Na channel

Explanation: Ca2+ influx through more slowly opening Ca2+ channels produces the plateau phaseThe initial depolarization is due to Na+ influx through rapidly opening Na+ channels Repolarization is due to net K+ efflux through multiple types of K+ channels